Casper's Dictum is used for:
1. Identification of Body
2. Estimation of time since death
3. Establishing cause of death
4. Establishing weapon of Injury

Correct answer: 2. Estimation of time since death

Explanation: Casper's dictum relates to the rate of putrefaction of a dead body and helps to estimate the time since death. Ref: Textbook of Forensic Medicine and Toxicology By Nagesh Kumar Rao, 1999, Page 132; The Essentials of Forensic Medicine and Toxicology By Dr K S Narayan Reddy, 27th Edition, Page 150